TRUE regarding adenomyosis are all, EXCEPT:-
1. Presents with menorrhagia, dysmenorrhea, and enlarged uterus
2. More common in Multiparous women
3. Progestins are the treatment of Choice
4. 'Lakes' of Endometrial collection seen in the Myometirum on USG

Correct answer: 3. Progestins are the treatment of Choice

Explanation: Adenomyosis is benign but invasive growth of the endometrium into the muscular layer of the uterus. The patients are usually multiparous, around the age of 40 years. menorrhagia and progressively increasing dysmenorrhea. pelvic discomfort, backache and dyspareunia. Clinical examination : symmetrical enlargement of uterus if adenomyosis is diffuse but if it is localized the enlargement is asymmetrical. uterus is enlarged but seldom more than a '14 weeks' pregnant size uterus. Progesterones can be used for relief but the definitive treatment is Hysterectomy.